The characteristic Nail finding in lichen planus is :
1. Pitting
2. Pterygium
3. Beau's lines
4. Hyperpigmentation of the Nails

Correct answer: 2. Pterygium

Explanation: Ans. is 'b' Pterygium//?e/. Page 191, 4/e, Pasricha]* Nail Findings in lichen planusNail involvement is seen in 10% of pts with lichen planusMild form of Nail involvement * Onychorrhexis - Slight roughness of Nail plate with longitudinal ridging and brittleness.Severe form of Nail involvement:* Anychia-Complete absence of nail plate* Pterygium-Skin fold from post nail fold starts overgrowing the nail plate to form pterygium.Other Disorders of Nail 1) Beau's Line-*Any severe systemic illness.2) Oncholysis-*Psoriasis* *Fungal infection *Thyrotoxicosis * *Tetracycline *Trauma3) Pitting-*Psoriasis* *Alopecia Areata *Lichen Planus *Eczema4) Ridging-*Lichen Planus*5) Koilonychia-*Iron deficiency Anaemia* *Lichen planus *Repeated exposure to detergents.6) Muehrcke's nail-*Severe hypoalbuminemia as in Nephrotic syndrome.7) Blue nails-*Wilsons disease* *Hemochromatosis *Antimalarial drug8) Brown nail-*Addison's disease* *Arsenic poisoning*9)Leukonychia-*Liver disease*10) Mee's Line-*Arsenic poisoning*Note : Nail involvement is not seen in DLE.